Reverse split S2 is seen in?
1. Aortic stenosis
2. Mitral stenosis
3. Pulmonary artery hypertension
4. Pulmonic stenosis

Correct answer: 1. Aortic stenosis

Explanation: Reverse split S2 implies aortic valve closes very late to a level that it closes after the pulmonary valve closure (Normally aortic valve closes first and then pulmonic valve). Severe aortic stenosis -Valvular obstruction makes the work of left ventricle harder. The longer ejection time leads to delayed closure of aortic valve. Due to this delayed closure the split becomes narrowed in mitral stenosis, loud S1 is heard.